Which of the following is used in tracking transfer of MS from mother to infant, to detect risk of early childhood caries?
1. Albans test
2. GC-Saliva check SM
3. Dentocult lactobacilli test
4. Fosdick calcium dissolution test

Correct answer: 2. GC-Saliva check SM